A patient presenting with Volkmann's Ischaemia all of the following are done except -
1. Split open the plaster of Paris cast and bandage
2. Decompression by fasciotomy
3. Exploration
4. Sympathetic ganglion blockade

Correct answer: 4. Sympathetic ganglion blockade

Explanation: Management of compartment syndrome (Volkmann's ischemia) 

It is a surgical emergency and the treatment should begin immediately.
All encircling tight bandages and cast are removed, if present.
The limb should be elevated.
If definitive clinical signs of compartment syndrome are present urgent fasciotomy should be done.
If there is no improvement and there is doubt about clinical signs, record the pressure within the compartment and if it is more than 30 mm Hg, fasciotomy should be done which is the definitive treatment of compartment syndrome.
Exploration of the brachial artery may be required.